Postmortem lividity is unlikely to develop in a case of -
1. Drowning in well
2. Drowning in a fast flowing river
3. Postmortem submersion
4. Drowning in chlorinated swimming pool

Correct answer: 2. Drowning in a fast flowing river

Explanation: Postmortem lividity does not develop in drowning in running water (due to constantly changing position of body) and areas of contact flattening (due to collapsed capillaries).